The chromosomal complement of a primary oocyte is-
1. 23X
2. 23Y
3. 46XX
4. 46XY

Correct answer: 3. 46XX

Explanation: Ans- (C) Primary oocyte